Increased vascular permeability in acute inflammation is due to ?
1. Histamine
2. IL 2
3. TGF beta
4. FGF

Correct answer: 1. Histamine

Explanation: Ans. is 'a' i.e., Histamine